"Head at risk" sign is seen in ?
1. Perthes disease
2. Ewing's sarcoma
3. Osteomylitis
4. Paget's disease

Correct answer: 1. Perthes disease

Explanation: Ans. is'a'i.e., Perthes disease (Ref: Pediatric Orthopedic Deformities p.326) "Head at risk sign is a radiological prognostic sign for Perthes disease (also k/a Legg-Calves- Perthes disease or Coxa Planaor Idiopathic avascular necrosis of femoral head).